Kussmaul's sign is positive in 
a. Restrictive cardiomyopathy 
b. Constrictive pericarditis 
c. Cardiac tamponade 
d. Dilated cardiomyopathy 
e. Pneumothorax
1. a,b,e
2. a,b
3. a,c,d,e
4. a,b,c,d,e

Correct answer: 2. a,b

Explanation: Kussmaul's sign is rise in JVP with inspiration.  It is seen in constrictive pericarditis  and Restrictive cardiomyopathy.